Thermafil is
1. An endodontic obturater
2. An enlarging instrument
3. An instrument to remove pulp
4. Is a cold gutta percha technique

Correct answer: 1. An endodontic obturater